Which of the following is true regarding crowding of the dentition?
1. Crowding of the primary dentition usually resolves as the permanent teeth erupt.
2. Spacing in the primary dentition usually indicates spacing will be present in the permanent dentition.
3. Approximately 15% of adolescents have crowding severe enough to consider extraction of permanent teeth as part of treatment.
4. Lower incisor crowding is more common in African-American than white populations.

Correct answer: 3. Approximately 15% of adolescents have crowding severe enough to consider extraction of permanent teeth as part of treatment.

Explanation: According to data available, approximately 15% of adolescents have severe crowding that would require major amounts of expansion or extractions to resolve. The other statements are false: crowding in the primary dentition is very rare and would indicate crowding will occur in the permanent dentition; spacing in the primary dentition is normal; and African-Americans generally have less crowding than whites.